Which of the following is a special stain used to diagnose fungal hyphae in tissues -
1. Masson trichome
2. Silver methenamine
3. Congo red
4. Alizarin red

Correct answer: 2. Silver methenamine

Explanation: . Silver methenamine